A child can drawr triangle at what age -
1. 1 year
2. 3 years
3. 5 years
4. 7 years

Correct answer: 3. 5 years

Explanation: Ans. is 'c' i.e., 5 yearso At age 60 month, child can draw teiangle.o Emerging patterns of behaviour from 1 to 5 year of age15 MOMotor:Walks alone; crawls up stairsAdaptive:Makes tower of 3 cubes; makes a line with crayon: inserts raisin in bottleLanguage:Jargon; follows simple commands; may name a familiar object (e.g., ball)Social:Indicates some desires or needs by pointing; hugs parcents18 MOMotor:Runs stiffly; sits on small chair; walks up stairs with one hand held; explores drawers and wastebasketsAdaptive:Makes tower of 4 cubes; imitates scribbling; imitates vertical stroke; dumps raisin from bottleLanguage:10 words (average); names pictures; identifies one or more parts of bodySocial:Feeds self; seeks help when in trouble; may complain when wet or soiled; kisses parent with pucker24 MOMotor:Runs well, walks up and down stairs, one step at a time; opens doors; climbs on furniture; jumpsAdaptive:Makes towrer of 7 cubes (6 at 21 mo); scribbles in circular pattern; imitates horizontal stroke; folds paper once imitativelyLanguage:Puts 3 words together (subject, verb, object)Social:Handles spoon well; often tells about immediate experiences; helps to undress; listens to stories when shown pictures30 MOMotor:Goes up stairs alternating feetAdaptive:Makes tower of 9 cubes; makes vertical and horizontal strokes, but generally will not join them to make cross; imitates circular stroke, forming closed figureLanguage:Refers to self by pronoun T'; knowrs full nameSocial:Helps put things away; pretends in play36 MOMotor:Rides tricycle; stands momentarily on one footAdaptive:Makes tower of 10 cubes; imitates construction of "bridge'' of 3 cubes; copies circle; imitates crossLanguage:Knows age and sex; counts 3 objects correctly; repeats 3 numbers or a sentence of 6 syllables.Social:Plays simple games (in parallel" with other children); helps in dressing (unbuttons clothing and puts on shoes); washes hands48 MOMotor:Hops on one foot; throws ball overhand; uses scissors to cut out pictures; climbs wellAdaptive:Copies bridge from model; imitates construction of''gate'1 of 5 cubes; copies cross and square; draws man with 2 to 4 parts besides head; identifies longer of 2 linesLanguage:Counts 4 pennies accurately; tell storySocial:Plays with several children, with beginning of social interaction and role-plaving: goes to toilet alone60 MOMotor:SkipsAdaptive:Draws triangle from copy; names heavier of 2 weightsLanguage:Names 4 colore; repeats sentence of 10 syllables; counts 10 pennies correctlySocial:Dresses and undresses; asks questions about meaning of words; engages in domestic role-playing